BCG vaccine in HIV (+) newborn is:
1. Contraindicated
2. Double dilution
3. Half dilution
4. Dose double

Correct answer: 1. Contraindicated

Explanation: Ans (a)BCG vaccine should not be given to infants and children with active HIV disease. Babies born to mother with AFB positive spectum should not be given BCG at birth, but only after a course of preventive chemotherapy.